While launching a community programme best method of action is-
1. Publicity drive
2. Talk to community leaders
3. Involvement of voluntary agencies
4. Organize lecture

Correct answer: 2. Talk to community leaders

Explanation: Ans. is `b' i.e., Talk to community leader Role of leaders We learn best from people whom we respect and regard. o In Health education, we try to penetrate the community through the local leaders - the village head man, the school teacher or the political worker. o Leaders are agents of change and they can be made use of health education work. o If the leaders are convinced first about a given programme. the rest of the task of implementing the programme will he easy.